Anterior lenticonus may be associated with:
1. Alport's syndrome
2. Lowe's syndrome
3. Marfan's syndrome
4. Homocystinuria

Correct answer: 1. Alport's syndrome

Explanation: Ans. Alport's syndrome